Early reaction of Lepromin test is known as
1. Late Mitsuda reaction
2. Fernandez reaction
3. Early Mitsuda reaction
4. First lepromin reaction

Correct answer: 2. Fernandez reaction

Explanation: Lepromin test Test of CMI in leprosy. Early reaction is known as Fernandez reaction (Read at 48 hours). Late reaction is known as Late Mitsuda reaction (Read at 21 days). It is not a diagnostic test.